Swimming pool granuloma is caused by
1. Mycobacterium bovis
2. Mycobacterium ulcerans
3. Mycobacterium kansasii
4. Mycobacterium marinum

Correct answer: 4. Mycobacterium marinum

Explanation: Mycobacterium marinum can cause cellulitis or granulomas on skin surfaces exposed to the water in aquariums or injured in swimming pools.